All are vector horn diseases. except ?
1. KFD
2. JE
3. Brucella
4. Plague

Correct answer: 3. Brucella

Explanation: Ans. is 'c' i.e., Brucella